Drug that can be used for producing alkalinization of urine is
1. Hydrochlorthiazide
2. Furosemide
3. Acetazolamide
4. Spironolactone

Correct answer: 3. Acetazolamide

Explanation: CARBONIC ANHYDRASE INHIBITORS Carbonic anhydrase is an enzyme which catalyses thereversible reaction H2O+CO2 -> H2CO3. Carbonic acid spontaneously ionizes H2CO3 -> H+ + HCO3-. Carbonic anhydrase thus functions in CO2 and HCO3 - transport and in H+ ion secretion. The enzyme is present in renal tubular cell (especially PT) gastric mucosa, exocrine pancreas, ciliary body of eye, brain and RBC. Acetazolamide:- Mech of action:- It is a sulfonamide derivative which noncompetitively but reversibly inhibits CAse (type II) in PT cells resulting in slowing of hydration of CO2 ->decreased availability of H+ to exchange with luminal Na+ through the Na+-H+ antiporter. Inhibition of brush border CAse (type IV) retards dehydration of H2CO3 in the tubular fluid so that less CO2 diffuses back into the cells. The net effect is inhibition of HCO3 - (and accompanying Na+) reabsorption in PT. However, the resulting alkaline diuresis is only mild (maximal fractional Na+ loss 5%), because part of the Na+ (but not HCO3 - ) rejected in the PT is reabsorbed at the high capacity AscLH. The urine produced under acetazola mide action is alkaline and rich in HCO3 - which is matched by both Na+ and K+. Continued action of acetazolamide depletes body HCO3 - and causes acidosis. Ref:- kd tripathi; pg num:-586,587